Toxigenicity of C. diphtheria is determined by-
1. Elek's gel ppt test
2. Aselole's reaction
3. Nagler's reaction
4. All

Correct answer: 1. Elek's gel ppt test

Explanation: Ans. is 'a' i.e., Elek's gel ppt test